Increased intraocular tension can be diagnosed by -
1. Tonometer
2. Pachymeter
3. Placido's disc
4. Keratometer

Correct answer: 1. Tonometer

Explanation: Ans. is 'a' i.e., Tonometer o The exact measurement of intraocular pressure is done by an instrument called tonometer. Indentation (Schiotz tonometer) and applanation (e.g., Goldmann's tonometer) tonometers are frequently used.Important corneal examinationsUsed foro Keratometry. Comeal topographyo Specular microscopyo Slit lampo Pachymetero Placido's disco Fluorescein, Alacian blue & Bengal rose staino Window reflex, slit lamp biomicroscopy; Ptacidos' discCurvature of corneaCorneal endothelial densityCorneal opacityThickness of corneaCorneal sheenComeal stainingCorneal surface